Nerve root of pudendal nerve is -
1. S 1S2S3
2. S2S3S4
3. S3-S4
4. S2-S3

Correct answer: 2. S2S3S4

Explanation: Pudendal nerve- S2,3,4